Kupffer cells are seen in
1. Liver
2. Spleen
3. Lung
4. Heart

Correct answer: 1. Liver